Placement of a double lumen tube (DLT) is best confirmed by:
1. Clinically by Auscultation
2. Fibreoptic bronchoscopy
3. Capnography
4. Chest radiography

Correct answer: 2. Fibreoptic bronchoscopy

Explanation: B. i.e. Fiber optic bronchoscopy